Which of the following is true for Creatine-Phosphate Shuttle:
1. Transport ATP from mitochondria to cytoplasm
2. Transport Acetyl CoA from mitochondria to cytoplasm
3. Takes NADH from cytoplasm and delivers NADH in the mitochondria
4. Takes NADH from cytoplasm and delivers FADH2 in the mitochondria

Correct answer: 1. Transport ATP from mitochondria to cytoplasm

Explanation: Creatine-Phosphate shuttle is used to transport ATP from Mitochondria to Cytoplasm. Option 2- Citrate Shuttle Option 3- Malate Shuttle Option 4- Glycerol phosphate shuttle